In the conventional Class I composite preparation, retention is achieved by which of the following features?
1. Occlusal convergence
2. Occlusal bevel
3. Bonding
4. Retention grooves
1. 2 and 4
2. 1 and 3
3. 1 and 4
4. 2 and 3

Correct answer: 2. 1 and 3

Explanation: Typically, the Class I composite preparation has occlusally converging walls that provide primary retention form. The actual bonding also provides retention form. However, an occlusal bevel is not indicated on Class I preparations nor are retention grooves used.